A 14-year-old boy presents at your office with a sore throat, fever, and enlarged lymph nodes. His tonsils are enlarged, the pharynx is inflamed, and splenomegaly is observed. He complains of severe fatigue. Confirmation of the causative agent is best done by observing
1. A positive Tzanck smear
2. IgM heterophile antibodies
3. Koilocytotic cells
4. -PCR for Enterovirus.

Correct answer: 2. IgM heterophile antibodies

Explanation: This boy's symptoms are consistent with infectious mononucleosis caused by EBV (Epstein Barr Virus). During its pathogenesis, this virus produces an IgM heterophile antibody that is the basis for the Monospot test. Option 1: A positive Tzanck smear : Tzanck cells (acantholytic cells) are found in: Herpes Simplex Varicella and Herpes Zoster Pemphigus vulgaris Cytomegalovirus Option 3: Koilocytes, also known as halo cells, are a type of epithelial cell that develops following a human papillomavirus (HPV) infection.